Most successful application of tumor markers
1. Screening in asymptomatic periodicity
2. Effect of treatment and early detection
3. Differentiating benign from malignant
4. Staging the extent of disease

Correct answer: 2. Effect of treatment and early detection

Explanation: Answer: b) Effect of treatment and early detection( style="font-size: 1.04761904761905em; font-family: Times New Roman, Times, serif">)Tumor markers* Just an adjunct to diagnosis, and establishing a diagnosis on the basis of tumor markers alone (especially a single result) is associated with pitfalls because of the problem of non-specificity.* Clinical uses can be broadly classified into 4 groups: screening and early detection, diagnostic confirmation, prognosis and prediction of therapeutic response and monitoring disease and recurrence.* Serum levels, in certain situations, can be used in staging, prognostication or prediction of response to therapy.* Monitoring disease is, perhaps, the most common clinical use of serum tumor markers.* Rising trend in serum levels may detect recurrence of disease well before any clinical or radiological evidence of disease is apparent ("biochemical recurrence").